Which is non invasive positive pressure ventilation?
1. CPAP
2. SLMV
3. CMV
4. IMV

Correct answer: 1. CPAP

Explanation: Ans: A (CPAP) Ref: Medscape EmedicineExplanation :Noninvasive ventilation (NIV)It refers to the administration of ventilatory support without using an invasive artificial airway (endotracheal tube or tracheostomy tube).It is divided into two typesNon-invasive Positive pressure ventilationPositive-pressure ventilation delivered through a mask has become the predominant method of providing noninvasive ventilatory supportNon invasive Negative pressure ventilationNegative-pressure ventilators provide ventilatory- support using a device that encases the thoracic cage starting from the neck, and devices range from a whole-body tank to a cuirass shell.The general principal is the same with a vacuum device, which lowers the pressure surrounding the thorax, creating subattnospheric pressure and thereby passively expanding the chest wall with diaphragmatic descent, all leading to lung inflation.Exhalation occurs with passive recoil of the chest wall.Non-invasive Positive Pressure VentilationPatient InterfacesNasal masks andOrofacial masksFull face masksMouthpiecesNasal pillow'sHelmets.Modes of ventilationCPAPBiPAPPAVMost patients who are provided noninvasive ventilation are provided support with pressure ventilation, with continuous positive airway pressure (CPAP), which is the most basic level of support. CPAP may be especially useful in patients with congestive heart failure or obstructive sleep apnea.Bilevel positive airway pressure (BiPAP) is probably the most common mode of support and requires provision of inspiratory positive airway pressure (IPAP) and expiratory positive airway pressure (EPAP). The difference between IPAP and EPAP is a reflection of the amount of pressure support ventilation provided to the patient, and EPAP is synonymous with positive end-expiratory pressure (PEEP).Some noninvasive ventilation is provided using proportional-assist ventilation (PAV), which provides flow and volume assistance with each breath.